Indomethacin causes:
1. Closure of ductus in premature neonate
2. Patent ductus arteriosus
3. Closure of ductus in term & premature neonates
4. Closure of ductus in older children also

Correct answer: 1. Closure of ductus in premature neonate

Explanation: a. Closure of ductus in premature neonate(Ref: Nelson's 20/e p 2197)Indomethacin, a Prostaglandin inhibitor is used in medical closure of Ductus arteriosus in preterm neonates with PDA.